Pellegra deficiency of -
1. Niacin
2. Thiamine
3. Riboflavin
4. Folate

Correct answer: 1. Niacin

Explanation: Ans. is 'a' i.e., Niacin Beri-berio Deficiency of thiamine (Vit Bl)o Can be dry (neural involvement)o Wet (cardiac involvent)o AcutePellagrao Niacin (Vit B3) defo Dermatitiso Diarrheao Dementia